Fluid administration in an infant of 10 kg is
1. 1 ml/kg/hr
2. 2 ml/kg/hr
3. 3 ml/kg/hr
4. 4 ml/kg/hr

Correct answer: 4. 4 ml/kg/hr

Explanation: For infants 3.5 to 10 kg the daily fluid requirement is 100 mL/kg. For children 11-20 kg the daily fluid requirement is 1000 mL + 50 mL/kg for every kg over 10. A guide for maintenance fluid therapy for children is as follows: 0-10 kg - 100 mL/kg/day (4 mL/kg/hr) 10-20 kg - 1000 mL/day + 50 mL/kg/day (40 mL/hr + 2 mL/kg/hr) >20 kg - 1500 mL/day + 25 mL/kg/day (60 mL/hr + 1 mL/kg/hr) Reference: GHAI Essential pediatrics, 8th edition